Action of inferior oblique ?
1. Adduction
2. Depression
3. Extorsion
4. Intorsion

Correct answer: 3. Extorsion

Explanation: Ans. is 'c' i.e., Extorsion MusclePrimary ActionSecondary ActionSuperior rectusElevationAdduction and intorsionInferior rectusDepressionAdduction and extorsionMedial rectusAdduction Lateral rectusAbduction Superior oblique Intorsion Abduction and depression Inferior obliqueExtorsion Abduction and elevation